All are true about histo-immunological type of breast cancer EXCEPT:
1. Molecular classification is based on gene expression profiling
2. Most common type is Luminal A
3. Best Prognosis is Luminal B
4. Worst prognosis is triple negative breast cancer

Correct answer: 3. Best Prognosis is Luminal B

Explanation: Molecular classification of breast Ca is based on gene expression profiling. Molecular classification: Luminal A: ER & PR + ve, double positive HER - 2 - neu (-) ve Ki67 lowMost common type, best prognosis. Luminal B: two subtypes- 1. Luminal B HER(+) ER, PR - positive & Her - 2 - neu positive (triple positive) and Ki67 low/high 2. Luminal B HER(-) ER, PR - positive & Her - 2 - neu negative and Ki67 high Intermediate prognosis Basal cell type: triple negative ER, PR Her-2-neu (-)ve Ki67 high In BRCA 1 mutation most aggressive and Poorer prognosis because there are fewer targeted medicines available Her-2 type: Her-2-neu +veER, PR -ve aggressive and poor prognosis Normal like breast cancer- same like luminal A but prognosis poorer than luminal A Most common: luminal A Best prognosis: Luminal A Worst prognosis: Triple negative breast cancer